Celiac plexus block all the following is true except ?
1. Relieved pain from gastric malignancy
2. Cause hypotention
3. Can be used to provide anesthesia for intra abdominal surgery
4. Can be given only by retrocrural (classic) approach

Correct answer: 4. Can be given only by retrocrural (classic) approach

Explanation: Ans. is 'd' i.e., Can be given only by retrocrural (classic) approach Celiac plexus block can be done by following three approaches : Retrocrural (classic) approach, anterocrural approach and splanchnic nerve block. See explanation- 4 of session- 8 of Anaesthesia of All India 2014-15 pattern of this book.